Most common orbital tumor in children:
1. Rhabdomyosarcoma
2. Retinoblastoma
3. Melanoma
4. Chloroma

Correct answer: 1. Rhabdomyosarcoma

Explanation: A i.e.Rhabdomyosarcoma